Tyrosine is required for the synthesis of all of the following except:
1. Melatonin
2. Epinephrine
3. Norepinephrine
4. Thyroxine

Correct answer: 1. Melatonin

Explanation: Ans. A. MelatoninMelatonin is a hormone, synthesized by pineal gland. The amino acid required is tryptophan. It is also called N-acetyl 5- methoxy serotonin. Melatonin is involved in circadian rhythms.Epinephrine, Nor-epinephrine and thyroxine are all synthesized by Tyrosine.